True about EMLA:
1. Can be used for intubation
2. Mixture of local anesthesia
3. Faster acting
4. All

Correct answer: 2. Mixture of local anesthesia

Explanation: B i.e. Mixture of local anesthesia - Procaine, Mepivacaine & BupivacaineQ (Provide me BUM) are never used topically. - EMLA is eutectic mixture of local anesthetics (2.5% lidocaine & 2.5% prilocaine)Q commonly used to make venepuncture painless especially in children.